25 years old female has palatal ulcer and skin blister most likely diagnosis is-
1. Pemphigus vulgaris
2. Pemphigus foliaceous
3. Dermatitis herpetiformis
4. Pemphigoid

Correct answer: 1. Pemphigus vulgaris

Explanation: In 50% of patients , disease begins in oral mucosa and eventually oral lesions develop and sometimes they are two sole manifestation of PV ( mucosal dominant variant). PV is characterized by cutaneous and mucosal bullae. They develop on normal skin and rupture to form painful erosions. In pemphigous foliaceus mucosal lesions are rare. In Bullous pemphigoid mucosal lesions are infrequent and usually occurs in an elderly patient with itchy tense hemorrhagic blisters. In dermatitis herpetiformis there so itchy edematous papules and small vesicles develop on normal skin and there is asymptomatic oral mucosal involvement. From illustrated synopsis of dermatology and sexually transmitted diseases neena khanna 5th edition page no 79,85,89